Initial maneuver done in congenital dacryocystitis:
1. Probing
2. Massaging
3. Ointments
4. Observation

Correct answer: 2. Massaging

Explanation: Congenital Acute Chronic Cause Non -Canalization Of NLD S.Aureus S.Aureus C/F Epiphora and Discharge Epiphora and Discharge Epiphora and Discharge Treatment <9 months=CRIGLER massage + antibiotic drops when needed (acute infections) 9 mon.- 4 years=probing >4 years= DCR Antibiotics + NSAIDS | DCR DCR Sequelae None Lacrimal fistula Rx:-DCR Mucocele-> pyocele-> fibrosis Rx:- DCT